The following are the contraindications to the use of combined oral contraceptive pills EXCEPT:
1. Breastfeeding
2. History of deep venous thrombosis
3. Active viral hepatitis
4. Bronchial asthma

Correct answer: 4. Bronchial asthma

Explanation: Ans. D i.e. Bronchial asthma